Arch of Aorta develops from which aortic arch artery ?
1. Right Pt
2. Right 3rd
3. Left 4th
4. Left 3rd

Correct answer: 3. Left 4th

Explanation: Ans. is 'c' i.e., Left 4th